Bicarbonate is maximally absorbed from
1. PCT
2. DCT
3. Collecting disc
4. Thick ascending loop of teenle

Correct answer: 1. PCT

Explanation: PCT